Latanoprost (PGF2 alfa) is used in:
1. Maintenance of ductus arteriosus
2. Pulmonary hypertension
3. Gastric mucosal protection
4. Glaucoma

Correct answer: 4. Glaucoma

Explanation: Glaucoma REF: Goodman and Gillman's 11TH edition page 1103, http://en.wikipedia.org/wiki/Latanoprost "Latanoprost ophthalmic solution is a topical medication used for controlling the progression of glaucoma or ocular hypertension by reducing intraocular pressure. It is a prostaglandin analogue (more specifically an analogue of Prostaglandin F2a)" "The PGF2a analogs consist of Latanoprost, travoprost, bimatoprost, and unoprostone. PGF2a analogs appear to lower IOP by facilitating aqueous outflow through the accessory uveoscleral outflow pathway. The mechanism by which this occurs is unclear"